Dipyridamole acts by -
1. Thromboaxne A2 synthesis inhibition
2. Antagonise the uptake of adenosine by platelet
3. Calcium channel blocking property
4. None

Correct answer: 2. Antagonise the uptake of adenosine by platelet

Explanation: Ans. is 'b' i.e., Antagonise the uptake of adenosine by platelet Antiplatelet action of dipvridamole o Dipyridamole interferes with platelet function by increasing the cellular concentration of adenosine 3'5' monophosphate. o This effect is mediated by inhibition of cyclic nucleotide phosphodiesterase or by blockade of uptake of adenosine.